Which is MC genetic cause of intellectual disability –
1. Tuberous sclerosis
2. Cri–du–chat syndrome
3. Fragile–x–syndrome
4. Angel's syndrome

Correct answer: 3. Fragile–x–syndrome